A 70 kg farmer consumes 56g proteins, 60g lipids and 270g carbohydrates. He is consuming
1. Less calories
2. Adequate calories
3. More calories
4. Cannot be commented

Correct answer: 1. Less calories

Explanation: Farmer is Heavy worker, so the energy requirement per day 58kcal/kg/day



1g of carbohydrate 
4.1kcal


1g of proteins
4.2 kcal


1g of fat
9.0kcal



In this question



270g of carbohydrates
= 270×4.1 = 1107kcal


56g of proteins
= 56 × 4.2 = 235 kcal


60g of fats
= 60 × 9 = 540 kcal


Total 
= 1882 kcal



Farmer requires = 4060kcal/day
Hence, option (1) Less calories.